A man aged 60 years presents with intermittent dysphagia & foul breath. He regurgitates food that is eaten few days ago: Likely diagnosis is:
1. Zenker's diverticulum
2. Meckel's diverticulum
3. Scleroderma
4. Achalasia cardia

Correct answer: 1. Zenker's diverticulum

Explanation: Answer is A (Zenker's diverticulum) Essentials of Diagnosis : Zenker's Diverticulum (Current Otolaryngology) Dysphagia (Intermittent) Regurgitation of undigested food (with risk of aspiration) Gurgling sounds in neck Halitosis